Transarterial chemoembolization (TACE) is used in the treatment of unresectable hepatocellular carcinoma without portal vein thrombosis. The drug commonly used for TACE is:
1. Doxorubicin
2. Sorafenib
3. Tamoxifen
4. Carboplatin

Correct answer: 1. Doxorubicin

Explanation: There are different treatment modalities for HCC. Curative treatments are resection, liver transplantation, Radiofrequency ablation (RFA), Percutaneous ethanol injection etc. Palliative treatments are TACE, Sorafenib etc. Ref: Harrisons Principles of Internal Medicine, 18th Edition, Chart in Page 781.